The carpal tunnel contains all of the following important structures EXCEPT
1. Median Nerve
2. Flexor pollicis longus
3. Flexor carpi radialis
4. Flexor digitorum superficialis

Correct answer: 3. Flexor carpi radialis

Explanation: The tendon of flexor carpi radialis passes through a tunnel created by a fascial slip on the roof of flexor retinaculum.It passes neither superficial nor deep to the flexor retinaculum, it is actually embedded within the retinaculum. Median nerve, flexor pollicis longus and flexor digitorum superficialis all pass deep to the flexor retinaculum and are contents of carpal tunnel.